Which of the following is an atavistic epiphysis?
1. Condyles of femur
2. Tubercle of humerus
3. Coracoid process
4. Lower end of radius

Correct answer: 3. Coracoid process

Explanation: ANSWER: (C) Coracoid processREF: Human osteology by BDC 1st e p. 5, 6EpiphysisDefinition/ FunctionExamplePressure epiphysesTakes part in transmission of weightHead of femur, condyles of tibia, lower end of radiusTraction epiphysesProvide attachment to more than 1 tendonTrochanter of femur, tubercles of humerus, mastoid process.Atavistic epiphysesPhylogenetically an independent bone which in man becomes fused to another boneCoracoid process of scapula, posterior tubercle of talus, os trigonum.Aberrant epiphysesNot always presentHead of metacarpal, base of other metacarpal